Sourse of progesterone during normal mestrual cycle :
1. Corpus luteum
2. Stroma
3. Surface epithelium of ovary
4. None

Correct answer: 1. Corpus luteum

Explanation: Corpus luteum